Assistance for the National Blindness Control Programme is done by
1. WHO
2. UNICEF
3. DANIDA
4. SIDA

Correct answer: 3. DANIDA

Explanation: Danish International Development Agency (DANIDA) is providing assistance for the development of services under national blindness control programme. A comprehensive National Programme for Control of Blindness was launched in 1976 with the goal of reducing prevalence of blindness to 0.3 per cent by 2000 AD. (iii) DANIDA agreed to assist NPCB since 1978 (Phase I). (iv) National Survey was undertaken by the GOI / WHO in 1986-89. Park 23e pg: 924